The continuous band of muscles constituting Buccinator mechanism is anchored at
1. Pharyngeal tubercle of occipital bone
2. Supranuchal line of occipital bone
3. Base of occipital bone
4. Infranuchal line of occipital bone

Correct answer: 1. Pharyngeal tubercle of occipital bone